An 'Antiseptic' means -
1. An agent applied on skin to eradicate pathogenic microbes
2. Used to sterilise inanimate objects
3. An agent which kills only bacteria but not spores
4. Kills all microorganism

Correct answer: 1. An agent applied on skin to eradicate pathogenic microbes